Common host of Balantidium coli is
1. Cattle
2. Dog
3. Goat
4. Pig

Correct answer: 4. Pig

Explanation: Ans: d (Pig)Ref: C K Jayaram Panicker's Textbook of Medical Parasitology, 6th ed. Pg. 111-112Balantidium coli* Only ciliate protozoan parasite of humans* Largest protozoan parasite in humans* It is a zoonosis, the principal reservoir being pigs, monkeys and rats.* It occurs in 2 stages -- trophozoite and cyst form.* Trophozoite lives in the large intestine* Infective form is the cyst in food and water.* Clinically resembles amoebiasis -- diarrhoea or dysentery, abdominal colic, nausea, vomiting* Treatment is with tetracycline metronidazole is also useful.